Trachoma inclusion bodies are called?
1. HP Bodies
2. Negri bodies
3. Koeppe's Nodules
4. Boiled sagograin follicles

Correct answer: 1. HP Bodies

Explanation: Ans. is 'a' i.e., HP Bodies o Trachoma is cuased by chlamydia trachomatis seroptypes A, B, Ba and C.o The organism is epitheliotropic and produces intracytoplasmic inclusion bodies called HP bodies (Halberstaedter prowazeke bodies)